What is known to cause pedal Botryomycosis
1. Actinomyces somaliensis
2. Nocardia asteroides
3. Staphylococcus aureus
4. Candida glabrata

Correct answer: 3. Staphylococcus aureus

Explanation: Staphylococcal skin infections Botryomycosis :- * Deep granulomatous and suppurative infection most frequently caused by S. aureus. * May extend to skeletal muscle and bone; affects all ages; a/w |T-cell counts and other defects in cellular immunity. * 70% have skin-limited disease (rarely visceral in severely immunosuppressed patients; lung most common); p/w deep, ulcerative plaques/nodules with multiple draining sinuses that drain yellow granules. Histology:- large granules w/ basophilic center (nonfilamentous bacteria) and eosinophilic/hyaline periphery (Splendore-Hoeppli phenomenon; comprised of IgG and C3 deposits), granules are surrounded by abscess and granulomatous inflammation; granules are PAS+, Giemsa+, and Gram(+) Treatment: - Surgical debridement + antistaphylococcal antibiotics. Ref:- Review of Dermatology by Alikhan; pg num:- 290